Jumper's fracture is seen in -
1. Calcaneum
2. Tibia
3. Pelvis
4. Neck femur

Correct answer: 3. Pelvis

Explanation: Jumper's fractures of the sacrum are characterized by an H - or U - shaped fracture line in the upper sacrum, usually involving the S1-S2 region.
Typical, the anterior segment of the pelvic ring is not injured.
So, Jumper's fracture involve the posterior segment of pelvic ring.